Which cranial nerve supplies lateral rectus muscle?
1. Trochlear
2. Trigeminal
3. Abducens
4. Glossopharyngeal

Correct answer: 3. Abducens

Explanation: Ans. C Abducens* All the extraocular muscles are supplied by CN III except lateral rectus and superior oblique.* Lateral rectus supplied by--CN VI* Superior oblique supplied by--CN IVRemember- LR6;SO4